Marker of fecal contaminatin is –
1. Ascaris
2. E. coli
3. guinea worm presence
4. Balantidium coli

Correct answer: 2. E. coli